A 34 years old man came with c/o blurring of vision in bilateral eyes and headache for past 6 months with decrease in libido. On examination, bitemporal hemianopia is seen. MRI was performed and shown below. Diagnosis is-
1. Pituitary macroadenoma
2. Pituitary microadenoma
3. Meningioma
4. Hemangioma

Correct answer: 1. Pituitary macroadenoma

Explanation: Pituitary macroadenoma- size more than 10mm. 'Figure of 8' appearance is seen on MRI. Pituitary microadenoma - size less than 10mm. It shows delayed enhancement on dynamic contrast enhanced MRI as compared to normal pituitary gland .